Which of the following is true statement about exhumation?
1. Police can order for exhumation
2. Executive magistrate can order for exhumation
3. Postmortem cannot be done on exhumated body
4. Cr PC 174 is related to enquiry of exhumated body

Correct answer: 2. Executive magistrate can order for exhumation

Explanation: It is the legal digging out of an already buried body from the grave. Written order from the first class magistrate /district magistrate /executive magistrate under 176 Crpc Police cannot order exhumation. Time limit: In India, there is no time limit for ordering the exhumation.